All are side effects of phenytoin, EXCEPT
1. Ataxia
2. Hypoglycemia
3. Hirsutism
4. Gum hypertrophy

Correct answer: 2. Hypoglycemia

Explanation: (B) Hypoglycemia # Dosage and Adverse Effects of Commonly Used Antiepileptic Drugs# Phenytoin (diphenylhydantoin) Principal Uses -- Tonic-clonic (grand mal); Focal-onset Typical Dose; Dose Interval-- 300-400 mg/d (3-6 mg/kg, adult; 4-8 mg/kg, child); qd-bid Half-Life -- 24 h (wide variation, dose dependent) Therapeutic Range -- 10-20 pg/mL Adverse Effects/Neurologic -- Dizziness Diplopia Ataxia Incoordination Confusion Adverse Effects/Systemic -- Gum hyperplasia Lymphadenopathy Hirsutism Osteomalacia Facial coarsening Skin rash Adverse interactions -- Level increased by isoniazid, sulfonamides, fluoxetine Level decreased by enzyme inducing drugs Altered folate metabolism